Which of the following is not a content of plane LA
1. Methyl paraben
2. Epinephrine
3. Nacl
4. Lignocaine

Correct answer: 2. Epinephrine